A bennett's fracture is difficult to maintain in reduced position because of the pull of?
1. Extensor pollicis longus
2. Extensor pollicis brevis
3. Abductor pollicis longus
4. Abductor pollicis brevis

Correct answer: 3. Abductor pollicis longus

Explanation: Bennett's fracture is the partial articular fracture of 1st metacarpal base extending into CMC joint and is unstable, in which small volar-radial fragment of metacarpal articular surface remains attached to the anterior oblique ligament, while the remainder of the metacarpal articular surface and shaft is displaced proximally, radially and into adduction in response to the force of the adductor pollicis and abductor pollicis longus. Ref: Apley's 8/e, Page 631-32; Watson Jones: fracture & Joint injuries 6/e, Page 760-62; Rockwood & Green's Fracture in Adults 6/e, Page 836-42.